Hamarlopia is seen in
1. Oguchi's disease
2. High myopia
3. Vitamin A deficiency
4. Congenital deficiency of cones

Correct answer: 4. Congenital deficiency of cones

Explanation: Hamarlopia (day blindness) is due to congenital deficiency of cones  and central corneal and central lenticular Opacities.